Wolfram syndrome is characterized by all except
1. Optic atrophy
2. Diabetes mellitus
3. Diabetes Insipidus
4. Parathyroid hyperplasia

Correct answer: 4. Parathyroid hyperplasia

Explanation: Answer- D. Parathyroid hyperplasiaThe Wolfram syndrome is a hereditary optic atrophy.It presents between the ages of 5-21 years.This is also referred to as "DIDMOAD" i.e. Diabetes Insipidus, Diabetes Mellitus, Optic Atrophy and Deafness